Millet seed like pattern is seen in
1. Milliary TB
2. Pulmonary hemosiderosis
3. Healed varicella pneumonia
4. All of the above

Correct answer: 4. All of the above

Explanation: - Miliary Tuberculosis- Due to Hematogenous spread of infection - At first, the chest radiograph may be normal, but then small, discrete nodules, 1-2 mm in diameter, become apparent, evenly distributed throughout both lungs. - other causes of Miliary shadows seen on Chest X-ray: Tuberculosis Histoplasmosis Sarcoidosis Healed varicella